The test used for the rapid diagnosis of S.aureus infection is:
1. Culture
2. PCR-based assays
3. Serological tests
4. ELISA

Correct answer: 2. PCR-based assays

Explanation: Diagnosis of S. aureus infection: Staphylococcal infections are readily diagnosed by Gram's stain Routine culture of infected material usually yields positive results Blood cultures are sometimes positive even when infections are localized to extravascular sites. Polymerase chain reaction (PCR)-based assays have been applied to the rapid diagnosis of S. aureus infection ALSO KNOW: Serologic assays have not proved useful for the diagnosis of staphylococcal infections. Uniformly positive blood cultures suggest an endovascular infection such as endocarditis. Ref: Harrison, Edition-18, Page-1161.